Heberdens arthropathy affects which joints mainly ?
1. Lumbar spine
2. Symmetrically large joints
3. Sacroiliac joints
4. Distal interpharyngeal joints

Correct answer: 4. Distal interpharyngeal joints

Explanation: In osteoarthritis of hand Distal interpharyngeal joint-Heberdens node Proximal interpharyngeal joints -Bouchards node Refer Harrinson 20th/e p 2035/ maheswari 9th ed